Tegaserod acts at the following receptor:
1. Histamine
2. Serotonin
3. Thromboxane
4. None of the above

Correct answer: 2. Serotonin

Explanation: Tegaserod is a serotonin 5-HT4 partial agonist that has high affinity for 5-HT4 receptors but no appreciable binding to 5-HT3 or dopamine receptors. Tegaserod was approved for the treatment of patients with chronic constipation and IBS with predominant constipation. Ref: Katzung 11th edition Chapter 60.